All of the following are true in management of Haemorrhoids except
1. Excisional surgery is cornerstone
2. Fiber supplementation is effective
3. Improvement in bowel function is helpful
4. Ligation with rubber bands effective

Correct answer: 1. Excisional surgery is cornerstone

Explanation: Treatment of haemorrhoids # Symptomatic - advice about defaecatory habits, stool softeners and bulking agents # Injection of sclerosant # Banding # Haemorrhoidectomy In the absence of a specific predisposing cause, important measures include attempts at normalising bowel and defaecatory habits: Ref: Bailey & Love's Short Practice of Surgery,E25,Page-1256,1257